A 31 year old female, P1L1 underwent a routine paps smear which was reported as CIN III (High Grade Squamous Intraepithelial Lesion/ HSIL) . What will be the next step in management?
1. Trachelectomy
2. Hysterectomy
3. Conization
4. Colposcopy biopsy

Correct answer: 4. Colposcopy biopsy

Explanation: After a patient is reported to have CIN III on a paps smear the next step is to confirm the diagnosis by a colposcopic biopsy Conization is not done in a young patient with incomplete family as it causes Short cervix- Incompetence - abortions Stenosed- Infertility Trachelectomy and hysterectomy are not done in premalignant lesions in a young female unless biopsy proves invasive carcinoma